Glutamine synthetase is a
1. Isomerase
2. Ligase
3. Lyase
4. Transferase

Correct answer: 2. Ligase

Explanation: Ligases are enzymes that link two substrate together,usually with the simultaneous hydrolysis of ATP. Glutamine synthetase catalyses the amidation of glutamic acid to glutamine.Ref: DM Vasudevan - Textbook of Biochemistry, 7th edition, page no: 49 and 224